Ketamine belongs to which of the following group of drugs ?
1. Phencyclidine
2. Phenols
3. Barbiturate
4. Benzodiazepine

Correct answer: 1. Phencyclidine

Explanation: Ketamine is a phencyclidine derivative presented as a racemic mixture of R-and S-ketamine.